What is the most serious adverse effect of streptomycin?
1. Hepatotoxicity
2. Ototoxicity
3. Ocular toxicity
4. Hematological disturbances

Correct answer: 2. Ototoxicity

Explanation: Streptomycin (S) This is a tuberculocidal aminoglycoside. It is not absorbed orally and must be administered by IM injection. It is active only against extra-cellular bacteria. It is NOT HEPATOTOXIC. Major adverse effects are ototoxicity, nephrotoxicity and neuromuscular blockade. Streptomycin is contraindicated in PREGNANCY.